After how many days of ovulation, embryo implantation occurs in the uterine cavity :
1. 3-5 days
2. 7-9 days
3. 10-12 days
4. 13-15 days

Correct answer: 2. 7-9 days

Explanation: Implantation can be defined as the process by which the blastocyst penetrate the epithelium and then the circulatory system of the mother It occurs 7-9 days after fertilization Reference: Textbook of Obstetrics; Sheila balakrishnan; 2nd edition; Page no: 57